Most common intracranial tumour is
1. Metastatic tumours
2. Neuroblastoma
3. Schannoma
4. Ependymoma

Correct answer: 1. Metastatic tumours

Explanation: More than one-quarter of the CNS tumors are secondary metastases arising in patients undergoing treatment for systemic cancer. Both benign and malignant CNS tumors are capable of producing neurologic impairment depending upon their site. Primary CNS tumors or intracranial tumors include :- tumors arising from constituent cells of the brain (with the sole exception of microglial cells) and from the supporting tissues. The anatomic distribution of common intracranial tumors is illustrated Among the primary brain tumors, gliomas constitute 50-60%, meningiomas 25%, schwannomas 10% and other primary tumors comprise the remainder. Ref: TEXTBOOK OF PATHOLOGY 6th EDITION - HARSH MOHAN PAGE NO:886